Which is not increased in PCOS -
1. Estrogen
2. Luetinizing hormone
3. Sex hormone binding globulin
4. Insulin

Correct answer: 3. Sex hormone binding globulin

Explanation: Ans. is 'c' i.e., Sex hormone binding globulin o Endocrinologic changes in PCOS are as follows :# Oestrone / E2 level rises# LH level is raised over 1 OlU/ml# FSH level remains normal, but FSH/LH ratio falls.# SHBG level falls due to hyperandrogenism# Testosterone and epiandrstenedione levels rise.# Fasting insulin is more than 10mIU/l.# Thyroid function test may be abnormal (hypothyroidism).